A previously healthy 45 yrs old laborer suddenly develops acute lower back pain with right-leg pain and weakness of dorsiflexion of the right great toe. Which of the following is TRUE?
1. Immediate treatment should include analgesics muscle relaxants and back strengthening exercises
2. The appearance of the foot drop indicate early surgical intervention
3. If the neurological sign resolve within 2 to 3 weeks but low back pain persists, the proper treatment would include fusion of affected Lumbar vertebra
4. If the neurological signs fail to resolve within 1 week, Lumbar laminectomy and exscision of any herniated nucleus pulposus should be done

Correct answer: 2. The appearance of the foot drop indicate early surgical intervention

Explanation: This seems to be a case of intervertebral disk prolapse at L4 - L5 level involving L5 root. Here since there is muscular weakness, surgical intervention is indicated. Ref: Schwartz Pretest Surgery, Q. 720